Prusian blue detects?
1. Ferric iron
2. Ferrous iron
3. Glycogen
4. Lipids

Correct answer: 1. Ferric iron

Explanation: Ans. is 'a' i.e., Ferric iron o Perl's iron stain/Prussian blue method: It is the classic method for demonstrating iron in tissues. The section is treated with dilute hydrochloric acid to release ferric ions from binding proteins. These ions then react with potassium ferrocyanide to produce an insoluble blue compound (hydrated ferric ferrocyanide substance) (the Prussian blue reaction)Other optionso Lipid staining - Oil -Red - Oo Glycogen staining - PAS